A 49 year old female was prescribed hormone replacement therapy (HRT). HRT is useful in all of the following, EXCEPT:
1. Flushing
2. Osteoporosis
3. Vaginal atrophy
4. Coronary heart disease

Correct answer: 4. Coronary heart disease

Explanation: Benefits and Risks of Postmenopausal Hormone Therapy (HT): Definite Benefits Symptoms of menopause (e.g, Flushing, vaginal atrophy) Osteoporosis Definite Risks Endometrial cancer Venous thromboembolism Breast cancer Gallbladder disease Probable or Uncertain Risks and Benefits Coronary heart disease Stroke Ovarian cancer Colorectal cancer Diabetes mellitus Cognitive dysfunction Ref: Manson J.E., Bassuk S.S. (2012). Chapter 348. The Menopause Transition and Postmenopausal Hormone Therapy. In Longo D.L., Fauci A.S., Kasper D.L., Hauser S.L., Jameson J, Loscalzo J (Eds), Harrison's Principles of Internal Medicine, 18e.